Metastasis not'ound in -
1. Femur
2. Humerus
3. Fibula
4. Spine

Correct answer: 3. Fibula

Explanation: Extremities distal to elbow and knee are least commonly involved in metastasis.


Fibula is distal to knee.